Brick incinerator is used for ?
1. Waste sharp
2. Discarded medicine
3. Infectious waste
4. Disposable items

Correct answer: 3. Infectious waste

Explanation: Ans. is 'c' i.e., Infectious waste Drum (or field) incinerator and brick incinerator should be used only as a last resort, as it is difficult to burn the waste completely without generating potentially harmful smoke.The option is appropriate only in emergency situations during acute outbreaks of communicable diseases and should be used only for infectious waste.